A 40-year-old female librarian is brought to the emergency department. Neurologic examination reveals the following: blood pressure 160/90 mm Hg, weakness on the right side of her inferior face, no weakness in upper or lower limbs, tongue deviating to right side on protrusion, and uvula deviating to the left side when patient says "ah." In which of the following loci is the lesion causing these symptoms found?
1. Anterior limb of internal capsule
2. Claustrum
3. Genu of internal capsule, left side
4. Paracentral lobule, right side

Correct answer: 3. Genu of internal capsule, left side

Explanation: A lesion of the genu of the internal capsule destroys corticobulbar fibers. The facial nucleus receives bilateral corticobulbar input, the upper face division receives bilateral input, and the lower face division receives only contralateral input. (so lesion of left genu will present as Right side lower face weakness) The hypoglossal nucleus receives only contralateral corticobulbar input. So lesion of left genu will present as right side hypoglossal paralysis. Hence, when the tongue is protruded, it deviates to the right (side of LMN lesion) owing to the unopposed activity of the intact genioglossus. Lesion of Left genu will cause paralysis of opposite (Right) vago-accessory complex. So the uvula deviates to Left (intact side / opposite site of LMN lesion) when the patient says "ah.